A 55-year-old woman is admitted to the emergency department after a car crash. Physical examination reveals severe pain in the flexor muscles of the forearm; fixed flexion position of the finger; and swelling, cyanosis, and anesthesia of the fingers. Which of the following is the most likely diagnosis?
1. Colles' fracture
2. Scaphoid fracture
3. Bennett's fracture
4. Volkmann's ischemic contracture

Correct answer: 4. Volkmann's ischemic contracture

Explanation: Volkmann's contracture is a flexion deformity of the fingers and sometimes the wrist from an ischemic necrosis of the forearm flexor muscles. Bennett's fracture is a fracture at the base of the metacarpal of the thumb. Scaphoid fracture occurs after a fall on an outstretched hand and involves the scaphoid and lunate bones. Colles' fracture is also called silver fork deformity because the distal fragment of the radius is displaced posteriorly. Boxer's fracture is a fracture of the necks of the second and third (and sometimes the fifth) metacarpals. Smith's fracture is also called a reverse Colles' fracture and is caused when the distal radius is fractured, with the radial fragment angled forward.